Best imaging modality in bronchogenic carcinoma-
1. CT
2. MRI
3. Bronchoscopy
4. None

Correct answer: 1. CT

Explanation: CT scan is the investigation of choice for pulmonary malignancy except for superior sulcus or pancoast tumor, where MRI is the investigation of choice.